The most common cause of embolic stroke
1. Non rheumatic atrial fibrillation
2. Carotid artery atherosclerosis
3. Paradoxical embolism
4. LV aneurysm

Correct answer: 1. Non rheumatic atrial fibrillation

Explanation: Ans. is 'a' i.e., Non rheumatic atrial fibrillation No rheumatic atrial fibrillation leads to clot formation in left atrial appendage that can embolize to the brain leading to neurological dificits